A boy of chronologic age 9 years is 125 cm in height. Mean height for the age is 133.71 cm with a standard deviation of 5.49 cm. The skeletal age is assessed as 8 years. The boy may be regarded as.
1. Somewhat physically retarded with the potential to catch up
2. Severely physically retarded with little potential to catch up
3. At the right level
4. Destined to be a short-statured individual

Correct answer: 1. Somewhat physically retarded with the potential to catch up